Cisapride differs from metoclopramide in which of the following aspect?
1. It accelerates gastric emptying
2. It alters colonic motility
3. Its action is blocked by atropine
4. It decreases the bioavailability of digoxin

Correct answer: 2. It alters colonic motility

Explanation: Cisapride does not block the dopamine receptors, thus does not cause extrapyramidal symptoms or alter the prolactin levels.
Though its effects on the stomach and small bowel motility are similar to metoclopramide, the colonic motility is increased with cisapride (no effect with metoclopramide).
Like metoclopramide, its actions on the gut are blocked by atropine.